Black colour code is used in four colour code system of triage management in disaster for-
1. Ambulatory patients
2. Low priority patients
3. Dead patients
4. High priority patients

Correct answer: 3. Dead patients

Explanation: Ans. is 'c' i.e., Dead patient